Which of the following is not seen in a patient with bronchial asthma?
1. Charcot-Leyden crystals in the sputum
2. Hyperplasia of submucosal glands
3. Smooth muscle atrophy
4. Viscid mucous plug

Correct answer: 3. Smooth muscle atrophy

Explanation: In patient with bronchial asthma there is hyper responsive airway which leads to HYPERTROPHY of smooth muscles - Microscopic changes in airway - AIR-WAY REMODELLING - Occlusion of bronchi and bronchioles by thick, tenacious mucus plugs, which often contain shed epithelium called Curschmann spirals. - Eosinophils and Charcot-Leyden crystals; composed of an eosinophil protein called galectin-10 are also present.